Thiamine deficiency is known to occur in all of the following except -
1. Food Faddist
2. Homocystenemia
3. Chronic alcoholic
4. Chronic heart failure patient of diuretics

Correct answer: 2. Homocystenemia